Water bottle heart is seen in -
1. PDA
2. Chronic emphysema
3. Pericardial effusion
4. Constrictive pericarditis

Correct answer: 3. Pericardial effusion

Explanation: It refers to the shape of the cardiac silhouette on erect front chest xrays in paients who has a large pericardial effusion. * there can be globular enlargement of the cardiac shadow giving a water bottle configuration * lateral CXR may show a vertical opaque line (pericardial fluid) separating a vertical lucent line directly behind the sternum (pericardial fat) anteriorly from a similar lucent vertical lucent line (epicardial fat) posteriorly; this is known as the Oreo cookie sign 5